Pentose pathway produces
1. ATP
2. NADPH
3. ADP
4. Acetyl CoA

Correct answer: 2. NADPH

Explanation: The major purpose of the pentose phosphate pathway is generation of reduced NADPH and pentose phosphates for nucleotide synthesis.Ref: DM Vasudevan, 7th edition, page no: 130